Which of the following makes the nerve membrane more susceptible to action of local anaesthetic
1. Increased extracellular potassium
2. Increased extracellular calcium
3. Increased extracellular sodium
4. Decreased extracellular chloride

Correct answer: 1. Increased extracellular potassium

Explanation: Increased extracellular K+ implies nerve is actively firing, thus more susceptible to anaesthetic agents.